All of the following sling operations are done for uterine prolapse except:-
1. Khanna
2. Shirodkar
3. Abdominocervicopexy
4. Manchester

Correct answer: 4. Manchester

Explanation: * Fothergill's repair / Manchester operation is suitable for 40 years of age , this operation preserves menstrual and childbearing functions. however, fertility is somewhat reduced because of amputation of the cervix. This operation is done in women complaining of menstrual disorder associated with prolapse * In abdominal wall cervicopexy it is done in young nulliparous female having good abdominal tone it is type of dynamic / open sling operation .the operation entails opening of the abdominal wall through a low transverse suprapubic incision deepened down, up to the rectus sheath. * Shridhokar sling it is type of static sling which aims at strengthening the uterosacral, means it is type of posterior sling.in this operation anterior colporrhaphy is performed as usual and attachment of mackenrodt ligaments to the cervix of each side is exposed. * In Khanna sling operation the mersilene tape is fixed to the isthmus posteriorly and the two free ends brought out retroperitoneally to emerge out at the lateral margin of rectus abdominis muscle on either side.